Mass in right iliac fossa can be:
1. Iliocecal T.B.
2. Iliocecal neoplasm
3. Amoeboma
4. All

Correct answer: 4. All

Explanation: Ans: d (All)Ref: Clinical S. Das, 4th ed, p. 392-393